Chronic cough is a side effect of-
1. Captopril
2. Domperidone
3. Cimetidine
4. Celecoxib

Correct answer: 1. Captopril

Explanation: Ans. is 'a' i.e., Captopril o Captopri i is an ACE inhibitor and chronic cough is a known side effect of ACE inhibitors.Adverse effects of ACE inhibitorHypotensionCoughAngioedmaTeratogenecityAcute renal failureHyperkalemiaRashes, UrticariaDysguesiaGranulocytopenia o Dysguesia is reversible loss or alteration of taste sensations.o Cough and angioedema are due to elevated bradykinin, caused by inhibition of bradykinin/substance P metabolism in lungs.